Hair investigation is useful in which poisoning
1. Lead
2. Mercury
3. Arsenic
4. Canrabis

Correct answer: 3. Arsenic